When noting condylar guidance , the incisal pin should be:
1. In contact with guidance table.
2. Out of contact.
3. The cuspal inclines.
4. None of the above.

Correct answer: 2. Out of contact.